Following displacement seen in Colle's fracture EXCEPT:
1. Dorsal tilt
2. Ventral tilt
3. Dorsal displacement
4. Lateral displacement

Correct answer: 2. Ventral tilt

Explanation: B i.e. Ventral tilt